Pascal's law is used in which technique of hernia repair?
1. Litchenstein mesh repair
2. Stoppa's preperitoneal repair
3. Bassini's repair
4. Darning repair

Correct answer: 2. Stoppa's preperitoneal repair

Explanation: Stoppa's Preperitoneal Repair In Stoppa's preperitoneal repair, the expanding Intra-abdominal pressure holds the mesh in place without suture fixation According to Pascal's law, any additional pressure exerted upon an enclosed fluid mass is transmitted equally in all directions Use of large mesh extending 3-5 cm beyond the edge of defect in all sides utilized Pascal's law Ref: Recent advances in surgery 10th edition Pgno : 166